Sistrunk operation is used for
1. Thyroglossal cyst
2. Branchial cyst
3. Cystic hygroma
4. Laryngocele

Correct answer: 1. Thyroglossal cyst

Explanation: ThyroglossalDuct Cyst A thyroglossal duct cyst is a midline neck lesion that originates at the base of the tongue at the foramen cecum and descends through the central portion of the hyoid bone. Although thyroglossal duct cysts may occur anywhere from the base of the tongue to the thyroid gland, most are found at or just below the hyoid bone . A thyroid diverticulum develops as a median endodermal thickening at the foramen cecum in the embryonic stage of development. The thyroid diverticulum descends in the neck and remains attached to the base of the tongue by the thyroglossal duct. Also, as the thyroid gland descends to its normal pretracheal position, the ventral cartilages of the second and third branchial arches form the hyoid bone--hence the intimate anatomic relationship of the thyroglossal duct remnant with the central portionof the hyoid bone. The thyroglossal duct normally regresses by the time the thyroid gland reaches its final position. When the elements of the duct persist despite complete thyroid descent, a thyroglossal duct cyst may develop. Failure of normal caudal migration of the thyroid gland results in a lingual thyroid, in which no other thyroid tissue is present in the neck. Ultrasound or radionuclide imaging may provide useful information to identify the presence of an ectopic thyroid gland in the neck. The standard operation for thyroglossal duct cysts has remained unchanged since it was described by Sistrunk in 1928, which involves complete excision of the cyst in continuity with its tract, the central portion of the hyoid bone, and the tract interior to the hyoid bone extending to the base of the tongue Failure to remove these tissues entirely will likely result in recur- rence because multiple sinuses have been histologically identified in these locations. Ref: Sabiston 20th edition Pgno: 1861